The evidence-based psychological therapy of choice for depression is.
1. Group discussion therapy
2. Counselling
3. Cognitive behaviour therapy
4. Psychological psychotherapy

Correct answer: 3. Cognitive behaviour therapy

Explanation: Ans. c. Cognitive behaviour therapyThe evidence-based psychological therapy of choice for depression is cognitive behaviour therapy."Cognitive Behavioral Therapy (CBT) developed by Aron Beck, is an extremely useful and evidence based non pharmacological intervention for depression. This therapy involves identification of the cognitive errors (thinking errors) in an individual and replacing the same with alternative thoughts, which are more adaptive and healthy in nature. It is most useful in patients suffering from mild to moderate depression."- Kaplan and Sadock 10/e pe p553Cognitive (Behaviour) TherapyIt was developed by Beck and Meichenbaum, for the treatment of depressiondeg, anxiety disorderdeg, panic disorderdeg, phobiasdeg, eating disordersdeg, anticipatory anxietydeg, and also for teaching problem solving skillsdeg (methods).It involves:Cognitive techniques (e.g. recognizing and correcting negative thoughts, teaching reattribution techniques, increasing objectivity in perceptives, identifying and testing maladaptive assumptions, and decentering) Behaviour techniques (activity scheduling, homework assignment, graded task assignment, behavioral rehearsal, role playing, and diversion technique)